Concussion causes:
1. Small hemorrhages and swelling of brain tissues
2. Momentary interruption of brain function with/ without loss of consciousness
3. Tearing or shearing of brain structures
4. Bruising of the brain

Correct answer: 2. Momentary interruption of brain function with/ without loss of consciousness

Explanation: Ans. Momentary interruption of brain function with/ without loss of consciousness